Woods lamp used in diagnosis of
1. Pityriasis versicolor
2. Vitiligo
3. Porphyria
4. All of the above

Correct answer: 4. All of the above

Explanation: Pityriasis versicolor- golden yellow fluorescence tinea capitis grey patch type - greenish yellow fluorescnece porphyria- reddish fluorescence of urine and teeth erythrasma - coral red fluorescence pseudomonas - greenish fluorescence iadvl textbook of dermatology page 94